The drug of choice in digitalis induced ventricular arrhythmias is:
1. I.V. Lignocaine
2. Phenytoin
3. Quinidine
4. Procainamide

Correct answer: 1. I.V. Lignocaine

Explanation: (IV Lignocaine): Ref: 463-KDT (514-KDT 6th)Treatment of digitalis induced ventricular arrhythmias* Lignocaine IV repeated as required is the drug of choice. It suppresses the excessive automaticity but does not accentuate A V block* Phenytoin is also useful but not preffered now (sudden death occurs)* Quinidine and procainamide are contraindicated.